Catalase positive novobiocin resistant bacteria is:
1. Staphylococcus aureus
2. Staphylococcus epidermidis
3. Staphylococcus saprophyticus
4. None of the above

Correct answer: 3. Staphylococcus saprophyticus

Explanation: Ans. is 'c' i.e., Staphylococcus saprophyticus(Ref: Ananthanarayan, 9th/e, p. 202)* All staphylococcus are catalase positive.* Staphylococcus saprophyticus is resistant to novobiocin.